Bence Jones proteins are found in all except
1. Multiple myeloma
2. Reactive plasmacytosis
3. Monoclonal gammopathy of undetermined significance
4. Waldenstroms macroglobulinemia

Correct answer: 2. Reactive plasmacytosis

Explanation: (B) Reactive plasmacytosis > A Bence Jones protein is a monoclonal globulin protein found in the blood or urine, with a molecular weight of 20 kDa. Finding this protein in the context of end-organ manifestations such as malignant bone marrow cancer, renal failure, lytic bone disease, or anemia, or large numbers of plasma cells in the bone marrow of patients can be diagnostic of multiple myeloma, in which t is present in 2/3 of cases.# Other conditions that can produce Bence Jones proteins include:> Waldenstrom's macroglobulinemia, heavy-chain disease, primary or immunocyte-associated amyloidosis, Monoclonal gammopethy of undetermined significance, some lymphomas and leukemias, osteogenic sarcoma, cryoglobulinemia, malignant B-cell disease, amyloidosis, light chain disease, and cancer that has spread to bone.